What is true about sinus venosus?
1. Forms rough wall of right atrium
2. Forms smooth wall of right atrium
3. Forms right coronary sinus
4. Forms left leaflet of coronary sinus

Correct answer: 2. Forms smooth wall of right atrium

Explanation: Sinus venosus forms smooth posterior part or sinus venarum of right atrium. BD CHAURASIA'S HUMAN ANATOMY VOLUME1. 6TH EDITION.Page no 255